Calcium channel blocker used in subarachnoid hemorrhage
1. Nefidipine
2. Nicardipine
3. Nimodipine
4. Nitrendepine

Correct answer: 3. Nimodipine

Explanation: Nimodipine is a cerbroselective calcium channel blocker used in SAH.Ref: KD Tripathi 6th ed pg 532